Which of the following a1pha blocker is used in the treatment of benign hypertrophy of the prostate without producing significant hypotension?
1. Dexazosin
2. Phentolamine
3. Tamsulosin
4. Terazosin

Correct answer: 3. Tamsulosin

Explanation: ref; KD Tripathi Pharmacology 7th edition (page no;135) Tamsulosin is a uroselective a1A/ a1D blocker has been found as effective as terazosin in improving benign hypertrophy of prostate symptoms. Because a1A subtype predominates in the bladder base and prostate, while a1B receptors are dominant in blood vessels, tamsulosin does not cause significant changes in BP or HR at doseswhich relieve urinary symptoms. No increase in adverse cardiovascular events, including postural hypotension has been noted.